A full thickness wound that is not sutured heals by
1. Primary healing
2. Secondary healing
3. Delayed primary healing
4. Reepithelization

Correct answer: 2. Secondary healing

Explanation: Here wound is full thickness wound. It is left open to heal by granulation, contraction and epithelialisation. This is know as secondary healing.